Dyslexia is characterized by all Except
1. Intellectual disability
2. Inability to interpret written language
3. Familial
4. Retardation reading

Correct answer: 1. Intellectual disability

Explanation: Dyslexia (reading disorder) is included in ICD-10 in a separate category of symbolic dysfunction. It is described as unexpected difficulty in reading,that is, unexpected in relation to intelligence, chronological age/grade level, education, or professional statusIn typical readers, development of reading and IQ are dynamically linked over time, but in dyslexic readers, there is a developmental uncoupling between reading and IQ Dyslexia is both familial and heritable. Dyslexia is observed in 50% of children who have a parent with dyslexia; 50% of the siblings of dyslexiapersons; and 50% of the parents of dyslexics.Most commonly, language and/or auditory processing weaknesses are present as evidenced by poor phonologic processing. Challenges with phonologic processing often result in deficiencies at the level of decoding individual words and, consequently, a delay in automaticity (e.g., acquiring a repertoire of words they can identify instantly) that causes reading to be slow, laborious, and frustrating. Without effective identification and intervention, reading comprehension, and ultimately the acquisition of knowledge may be seriously compromised.Reference: Nelson Textbook of Paediatrics; 20th edition; Chapter 34; Dyslexia